Y descent in jugular venous pulsation is due to
1. Ventricular systole
2. Atrial systole
3. Atrial filling
4. Ventricular filling

Correct answer: 4. Ventricular filling

Explanation: Y descent is due to passive movement of blood from atria to ventricles i.e. early diastolic filling